Russell body is found in -
1. WBC
2. RBC
3. Mast cells
4. Plasma cells

Correct answer: 4. Plasma cells